Stalactite growth in ghee broth is due to
1. H. influenza
2. C. diphtheria
3. Y -pestis
4. T. pallidium

Correct answer: 3. Y -pestis

Explanation: Ans. is 'c' i.e., Y. pestis Culture characteristic -Growth occurs over a wide range of temperature (range 2-45degC) and pH (5-9.6 optimum 7.2). The optimum temperature for growth is 27degC (unlike most pathogens). - In ghee broth a characteristic growth occurs which hangs down into broth from the surface resembling stalactites - Stalactite growth. - On blood agar colonies are dark due to the hemin pigment.